Interpeduncular fossa contains all except -
1. Mamillary bodies
2. Posterior perforated substance
3. Occulomotor nerve
4. Ophthalmic nerve

Correct answer: 4. Ophthalmic nerve